All of the following structures are present deep to Pterion except
1. Middle meningeal vein
2. Anterior division of middle meningeal artery
3. Sylvian Point
4. Temporal branch of Facial nerve

Correct answer: 4. Temporal branch of Facial nerve

Explanation: Structures present deep to Pterion areMiddle meningeal vein and arteryStem of lateral sulcus of brain Reference: Chourasia; 6th edition; 12th page